Massive bleeding per rectum in a elderly patient is due to
1. Colitis
2. Ca.colon
3. Diverticulosis
4. Peptic ulcer disease

Correct answer: 3. Diverticulosis

Explanation: MCC of massive bledding per rectum is diverticulosis.